In alcoholics which vitamin should be replenished with carbohydrates?
1. Vitamin B12
2. Riboflavin
3. Thiamin
4. Folic acid

Correct answer: 3. Thiamin

Explanation: Ans. c (Thiamin) (Ref: Harrison's Internal medicine 18th/ch. 275 and fig. 275-7)WERNICKE'S SYNDROME# Due to Thiamine deficiency, seen in alcoholic patients.# See for.- Global confusion- Ophthmaparesis- Ataxia# Site of lesion:- Demylination and atrophy of mamillary bodies- DM nuclei of thalamus# PATHOGENESIS: Thiamine is a cofactor of several enzymes, including transketolase, pyruvate dehydrogenase, and alpha-ketoglutarate dehydrogenase. Thiamine deficiency produces a diffuse decrease in cerebral glucose utilization and results in mitochondrial damage. Glutamate accumulates owing to impairment of alpha-ketoglutarate dehydrogenase activity and, in combination with the energy deficiency, may result in excitotoxic cell damage.# CEMRI :reveals abnormal enhancement of the mammillary bodies, typical of acute Wernicke's encephalopathy.# TREATMENT: It is a medical emergency. It requires immediate administration of thiamine, in a dose of 100 mg either IV or IM. The dose should be given daily until the patient resumes a normal diet and should be begun prior to treatment with IV glucose solutions. Glucose infusions may precipitate Wernicke's disease in a previously unaffected patient or cause a rapid worsening of an early form of the disease. For this reason, thiamine should be administered to all alcoholic patients requiring parenteral glucose.Wernicke-Korsakoff syndrome--confusion, ophthalmoplegia, ataxia (classic triad) + confabulation, personality change, memory loss (permanent). May progress to irreversible memory loss, confabulation, personality change (Korsakoff psychosis).Amygdala (bilateral)Kluver-Bucy syndrome (hyperorality, hypersexuality, disinhibited behavior).Associated with HSV-1.Frontal lobeDisinhibition and deficits in concentration, orientation, and judgment; may have reemergence of primitive reflexesRight parietal-temporal cortexSpatial neglect syndrome (agnosia of the contralateral side of the world)Left parietal-temporal cortexAgraphia, acalculia, finger agnosia, and left-right disorientation(Gerstmann syndrome).Reticular activating system (midbrain)Reduced levels of arousal and wakefulness (e.g., coma)Mammillary bodies (bilateral)Wernicke-Korsakoff syndrome: confusion, ophthalmoplegia, ataxia; memory loss(anterograde and retrograde amnesia), confabulation, personality changes.Associated with thiamine (Bl) deficiency and excessive EtOH use; can be precipitated by giving glucose without Bl.Basal gangliaMay result in tremor at rest, chorea, or athetosisCerebellar hemisphereIntention tremor, limb ataxia, and loss of balance; damage to the cerebellum results in ipsilateral deficits; fall toward side of lesionCerebellar vermisTruncal ataxia, dysarthriaSubthalamic nucleusContralateral hemiballismusHippocampus (bilateral)Paramedian pontine reticularAnterograde amnesia--inability to make new memoriesformationEyes look away from side of lesionFrontal eye fieldsEyes look toward lesion